A 25-year-old Lady goes to her physician because she is concerned that she may have systemic lupus erythematosus after hearing a public health announcement on TV while working at grocery store. She has no significant past medical history, and her only medication is occasional ibuprofen. She reports that she has had intermittent oral ulcers and right knee pain. Physical examination shows no evidence of alopecia, skin rash, or joint swellimg. Her blood reports shows that she has a positive ANA at a titer of 1:40, but no other abnormalities. Which of the following statements is true?
1. Four diagnostic criteria are required to be diagnosed with systemic lupus erythematosus; this patient has three
2. Four diagnostic criteria are required to be diagnosed with systemic lupus erythematosus; this patient has two
3. If a urinalysis shows proteinuria, she will meet criteria for systemic lupus erythematosus
4. The demonstration of a positive ANA alone is adequate to diagnose systemic lupus erythematosus

Correct answer: 2. Four diagnostic criteria are required to be diagnosed with systemic lupus erythematosus; this patient has two

Explanation: Diagnostic criteria for SLE: Include four or more of the following criteria - CRITERIA FEATURE 1.Malar Rash Fixed Erythema,Flat or Raised,Over the malar eminences 2.Discoid Rash Erythematous circular raised patches and adherent keratotic scaling 3.Photosensitivity Exposure to ultraviolet light causes rash 4.Oral ulcers Oral and Nasopharyngeal ulcers 5.Arthritis Non Erosive Arthritis of 2/more peripheral joints with Tenderness, swelling or effusion 6.Renal disorder Protienuria > 0.5g/d or 3+ or cellular casts 7. Neurologic disorder Siezuers, Psychosis 8.Hematologic disorders Hremolytic anemia or leucopenia, Lymphopenia, Thrombocytopenia 9. Immunologic disorder Anti DsDNA, Anti Sm, and/or Antiphospholipid, Low serum complement, +ve Direct Coombs 10. Antinuclear antibody(ANA) Abnormal titer of ANA Total 4 features should be positive At least 1 clinical feature and At least 1 lab features If renal features positive alone is enough to diagnosis SLE. Diagnosis of SLE The patient does not meet the arthritis criteria; her only criteria are oral ulcers and weakly positive ANA.So, she will not have SLE.